Autosplenectomy occurs in:
1. Thalassemia
2. Sickle cell anemia
3. HbH disease
4. Hydrops fetalis

Correct answer: 2. Sickle cell anemia

Explanation: b. Sickle cell anemia(Ref: Nelson's 20/e p 2336, Ghai 8/e p 345)Patients of sickle cell anemia may undergo auto-splenectomyQ due to multiple infarcts in splenic artery, that causes spleen to be reduced to fibrous tissue (splenic atrophy spleen may become non-palpable).